Which vitamin deficiency is found in gastric cancer patients?
1. Vitamin C
2. Vitamin B 12
3. Vitamin A
4. Vitamin D

Correct answer: 2. Vitamin B 12

Explanation: ANSWER: (B) Vitamin B 12REF: Harrison's 18th ed chapter 105Gastric cancers can growr to an extent to cause damage to cells producing intrinsic factors and hence vitamin B12 deficiencyVitamin B12 deficiency may also occur in post gastrectomy patients of gastric carcinoma, autoimmune pernicious anemia predisposing to gastric cancer and atrophic gastritis.